Avascular coat in the eye is –
1. Sclera
2. Cornea
3. Retina
4. Choroid

Correct answer: 2. Cornea

Explanation: Cornea is an avascular structure. Crystalline lens is also avascular.